The most common benign tumor of the lung is ?
1. Hamartoma
2. Alveolar adenoma
3. Teratoma
4. Fibroma

Correct answer: 1. Hamartoma

Explanation: Ans. is 'a' i.e., Hamartoma